Vertical transmission is seen in -
1. Herpes simplex
2. Leprosy
3. Tetanus
4. Whooping cough

Correct answer: 1. Herpes simplex

Explanation: . vertical transmission means the passage of an infectious agent from mother to fetus ,and this is seen with infections such as rubella,herpes simplex,HIV,toxoplasma,cytomegalovirus etc. ref:park's textbook,ed 22,pg no 90